Langerhan cells are not seen in:
1. Letterer siwe disease.
2. Fabrys disease.
3. Histiocytosis.
4. None.

Correct answer: 2. Fabrys disease.